Which of the following is NOT cultured
1. Sporothrix-schenckii
2. Rhinosporidium seeberi
3. Candida-albicans
4. Aspergillus fumigatus

Correct answer: 2. Rhinosporidium seeberi

Explanation: (Rhinosporidium seeberi) (620-AN 7th)* Rhinosporidiosis - chronic granulomatous disease characterized by the development offriable polyps caused by Rhinosporidium seeberi, has not been cultured in media. The mode of infection is not known though infection is believed to originate from stagnant water or aquatic life.* Sporotrichosis - caused by Sporothrix (sporotrichum) schenckii fungus is saprophyte Diagnosis is made by culture as frequently the fungus may not be demonstrable in pus or tissue.* Candida-albicans - cultures can be obtained readily on Sabouraud's and on ordinary bacteriological culture media colonies are creamy, white, smooth with a yeasty odour.* Aspergillus fimmatus - shows septate hyphae*. Asexual conidia are arranged in chains, carried on elongated cells called "sterigmata" borne on the expanded ends (vesicles) of conidiophores (624-A)